Gastrocolic reflex is related to
1. Pendular movement
2. Colonic stasis
3. Mass peristalsis
4. Segmental movement

Correct answer: 3. Mass peristalsis

Explanation: The gastrocolic reflex or gastrocolic response is one of a number of physiological reflexes controlling the motility, or peristalsis, of the gastrointestinal tract. Ref: guyton and hall textbook of medical physiology 12 edition:443,444,445